Which of the following is the drug of choice for medication-resistant schizophrenia:
1. Haloperidol
2. Chlorpromazine
3. Clozapine
4. Flupentixol

Correct answer: 3. Clozapine

Explanation: Ans. C: Clozapine Clozapine It may inhibit serotonin, muscarinic, and dopamine effects. Revolutionized treatment of medication-resistant schizophrenia. Effective in 30% of patients in whom other medications have failed. May improve tardive dyskinesia resulting from long-term use of traditional antipsychotics. Major drawback of reversible agranulocytosis occurs in 1-2% Interactions-Epinephrine and phenytoin may decrease effects; tricyclic antidepressants, neuroleptics, CNS depressants, guanabenz, and anticholinergics may increase effects Contraindications-Documented hypersensitivity; WBC (less than 3500 cells per millimeter cube) before or during therapy. Precautions-Pregnancy, Do not abruptly stop the medication; to minimize risk of agranulocytosis.